Fatty liver may be caused by:
1. Deficiency of methionine
2. Puromycin
3. Chronic alcoholism
4. All of these

Correct answer: 4. All of these

Explanation: Ans. D. All of theseFatty liver is defined as the accumulation of Fatty acids in the liver which mainly occurs by the increased synthesis of Triglycerols and impairment in the synthesis of lipoproteins. Diabetes mellitus, starvation alcoholism and high fat diet results in the increased mobilization of fatty acids causing fatty liver. Certain chemicals like puromycin, ethionine, carbon tetrachloride, chloroform inhibits protein synthesis causing fatty liver. Ethionine competes with methionine and traps the available adenosine-thus reducing ATP levels. Lipotropic factors helps in preventing fatty liver.